Health care worker is -
1. X-ray technician
2. Hospital electrical engineer
3. Staff nurse
4. All of the above

Correct answer: 4. All of the above

Explanation: Ans. is 'd' i.e., AH of the above o Health care workers (HCWs) refers to all people delivering health care services, including students, trainees, loboratory staff and mortuary attendants, who have direct contact with patients or with a patient's blood or body substances.o Health care workers work in a hospital or health centre.o HCWs include doctors, dentists, nurses, health care students, assistants (lab assistants, X-ray technicians etc), health care assistants (OT assistant, lab assistants etc), emergency personal (fire, ambulance and volunteer first aid worker), maintenance engineers, cleaning staff and central sterile supply staff. (The list is still incomplete).